'Flare' in Triple response is mediated by :
1. Axon reflex
2. Arteriolar dilation
3. Histamine release
4. Local hormones

Correct answer: 1. Axon reflex

Explanation: A i.e. Axon reflex